Apnea (with reference to sleep apnea) is defined as breathing pauses lasting for minimum_____
1. 5 seconds
2. 7 seconds
3. 8 seconds
4. 10 seconds

Correct answer: 4. 10 seconds

Explanation: Ans. d (10 seconds) (Ref. H-17th/1665)OSAHS may be defined as the coexistence of unexplained excessive daytime sleepiness with at least five obstructed breathing events (apnea or hypopnea) per hour of sleep. This event threshold may need to be refined upward in the elderly. Apneas are defined in adults as breathing pauses lasting 10 s and hypopneas as 10 s events where there is continued breathing but the ventilation is reduced by at least 50% from the previous baseline during sleep.Obstructive sleep apnea hypopnea syndrome (OSAHS), Narcolepsy and Idiopathic HyperSomnia (IHS OSAHSNarcolepsyIHSAge of onset (years)35-6010-3010-30CataplexyNoYesNoNight sleepDurationNormalNormalLongAwakeningsOccasionalFrequentRareSnoringYes, loudOccasionalOccasionalMorning drunkennessOccasionalOccasionalCommonDaytime napsFrequencyUsually fewManyFewTime of dayAfternoon/eveningAfternoon/eveningMorningDuration<1 h<1 h>1 h